An old man is having benign prostatic hypertrophy. Drug useful in such a patient would be:
1. Cyproterone acetate
2. Danazol
3. Bicalutamide
4. Finasteride

Correct answer: 4. Finasteride

Explanation: Ans: D i.e. Finasteride Drugs and uses Cyproterone has been clinically tested in precocious puberty in boys, inappropriate sexual behaviour in men, acne and virilisation in women, but is not marketed. Danazol is useful in endometriosis, menorrhagia, fibrocystic breast disease and hereditary angioneurotic edema. Bicalutamide (more potent and longer acting congener of flutamide) is suitable for once daily administration in metastatic carcinoma of prostrate. Treatmentt with finasteride has resulted in decreased prostate size and increased peak urinary flow rate in nearly 50% patients with symptomatic benign hypertrophy of the prostrate (BHP). It is the only drug which can retard disease progression.